Harvey's sign is:-
1. Transmitted pressure wave on coughing in a various vein
2. Related to the use of venous filling after emptying a length of vein
3. Loss of hairs from eyebrows
4. None of the above

Correct answer: 2. Related to the use of venous filling after emptying a length of vein

Explanation: Harvey's sign Related to the use of venous filling after emptying a length of vein Delayed venous refilling is called Harvey's sign